Mechanism of aspirin action is
1. Converts inactive plasminogen into active plasmin
2. Inhibits COX and thus thromboxane synthesis
3. Enhances the interaction between antitrombin III and both thrombin and the factors involved in the intrinsic clotting cascade
4. Inhibits the glycoprotein IIb/IIIa complex

Correct answer: 2. Inhibits COX and thus thromboxane synthesis

Explanation: Aspirin inhibits the synthesis of thromboxane A2 by irreversible acetylation of the enzyme cyclooxygenase.Other salicylates and nonsteroidal anti-inflammatory drugs also inhibit cyclooxygenase but have a shorter duration of inhibitory action because they cannot acetylate cyclooxygenase; that is, their action is reversible.Katzung 13e pg: 595